True about major depression is/are -
1. Common in males
2. Markedly diminished interest in all activities most of the day but no fatigue or loss of energy or psychomotor retardation.
3. Feeling of worthlessness or excessive guilt
4. All

Correct answer: 3. Feeling of worthlessness or excessive guilt

Explanation: Feeling of worthlessness or excessive guilt is one of the diagnostic criteria major depression.